Causes of exudative retinal detachment are all except -
1. Toxemia of pregnancy
2. Scleritis
3. High myopia
4. Central serous retinopathy

Correct answer: 3. High myopia

Explanation: Occurs due to the retina being pushed away by a neoplasm or accumulation of fluid beneath the retina following inflammatory or vascular lesions. Etiology: Systemic diseases- toxaemia of pregnancy, retinal HTN, blood dyscrasias. Ocular diseases- scleritis, central serous retinopathy, orbital cellulitis, retinoblastoma, malignant melanoma of choroid. Ref: Khurana 5th edition , page no 298